A newborn male, normal at birth started developing cyanosis. On auscultation a continuous murmur was audible. The child was put on supplemental oxygen but no improvement was noted rather the oxygen saturation of the neonate kept falling further. Pediatrician on call made a provisional diagnosis of a Duct dependant lesion. What is the next line of management?
1. Administer prostaglandin inhibitor
2. Administer PGG2
3. Administer PGE1
4. Take the baby to OR immediately for surgical management of the defect

Correct answer: 3. Administer PGE1

Explanation: Image shows a cyanosed child. An infant or a newborn with CHD that is dependent on the patency of the ductus arteriosus for survival can be termed as having a duct-dependent lesion. Neonates with duct-dependent physiology require prostaglandin El (PGEl) for survival. Early recognition of a duct-dependent situation allows early initiation of PGEl and stabilization until definitive procedure is accomplished